Wilson's disease is diagnosed by?
1. Increased serum ceruloplasmin
2. Decreased liver copper
3. Increased urinary copper excretion
4. Decreased urine copper excretion

Correct answer: 3. Increased urinary copper excretion

Explanation: ANSWER: (C) Increased urinary copper excretionREF: Harrison's Internal Medicine 17th ed> Chapter 354. Wilson Disease >Useful Tests for Wilson DiseaseTestUsefulnessNormal ValueIn Heterozygous CarriersIn Wilson DiseaseSerumceruloplasmin+180-350 mg/LLow in 20%Low in 90%KF rings++AbsentAbsentPresent in 99% + if neurologic or psychiatric symptoms present.Present in 30-50% in hepatic presentation and presymptomatic state24-h urine Cu+++0.3-0.8 mol (20-50) gNormal to 1.3 mol (80 g)>1.6 mol (>100 g) in symptomatic patients 0.9 to >1.6 mol (60 to >100 g) in presymptomatic patientsLiver Cu++++0.3-0.8 mol/g (20-50 g) tissueNormal to 2.0 mol (125 g)>3.1 mol (>200 g) (obstructive liver disease can cause false-positive results)Haplotypeanalysis++++(Siblings only0 Matches1 Match2 Matches